Intake of exogenous steroid causes:
1. Addison's disease
2. Cushing's syndrome
3. Pheochromocytoma
4. Conn's syndrome

Correct answer: 2. Cushing's syndrome

Explanation: Answer is B (Cushing's syndrome): The most common cause of Cushing's syndrome is iatragenic administration of steroids for a variety of reasons. - Harrison